The most appropriate test to assess the prevalence of TB infection in a community is
1. Mass miniature radiography
2. Sputum examination
3. Tuberculin test
4. Clinical examination

Correct answer: 3. Tuberculin test

Explanation: Prevalence of tuberculosis is the percentage of individuals who show a positive reaction to the standard tuberculin test.Prevalence represents a cumulative experience of a population to recent and remote infection with Mycobacterium tuberculosis.limitations are high coverage of BCG vaccination. since most of the vaccinees become positive reactors to the tuberculin test and cross-sensitivity to atypical mycobacteriae.Park 23e pg: 172